A 16-years old boy presents with acute onset pain in the left testis. The following statements about his management are true except:
1. The patient should be prescribed antibiotics and asked to come after a week
2. Colour flow Doppler will be very useful in diagnosis Doppler is not available
3. Scrotal exploration should be done without delay if Doppler is not available
4. If left testis is not exploration, patient should undergo left Orchidectomy and right orchidopexy

Correct answer: 1. The patient should be prescribed antibiotics and asked to come after a week

Explanation: Ans. (a) The patient should be prescribed antibiotics and asked to come after a week* Our aim in this case is to differentiate orchitis from torsion.* So we can't just like that send him home without confirming there is no torsion.